Cholangiocarcinoma is caused by:
1. Giardia lamblia
2. Clonorchis infestation
3. Paragonimus infestation
4. Ascaris infestation

Correct answer: 2. Clonorchis infestation

Explanation: Ans. b. Clonorchis infestation